Post-transplant cytomegalovirus infection may cause
1. Pyelonephritis
2. GI ulceration and hemorrhage
3. Cholecystitis
4. Intraabdominal abscess

Correct answer: 2. GI ulceration and hemorrhage

Explanation: Overall, 30% of all infections contracted in the posttransplant period are viral. The most common viral infections are DNA viruses of the herpesvirus family and include cytomegalovirus (CMV), Epstein-Barr virus, herpes simplex virus, and varicella zoster virus. CMV infections may occur as either primary or reactive infections and have a peak incidence at about 6-week post-transplant. The classic signs include fever, malaise, myalgia, arthralgia, and leukopenia. CMV infection can affect several organ systems and result in pneumonitis; ulceration and hemorrhage in the stomach, duodenum, or colon; hepatitis; esophagitis; retinitis; encephalitis; or pancreatitis. The risk of developing posttransplant CMV depends on donor-recipient serology, with the greatest risk in seronegative patients who receive organs from seropositive donors. Pyelonephritis, cholecystitis, intraabdominal abscesses, and parotitis are caused by bacterial infections or GI perforation and not primarily by CMV infection.